Main vascular supply of little's area is all except:
1. Septal branch of superior labial artery
2. Nasal branch of sphenopalatine artery
3. Anterior ethmoidal artery
4. Palatal branch of sphenopalatine

Correct answer: 4. Palatal branch of sphenopalatine

Explanation: LITTLE'S AREA (Anterior inferior part of nasal septum) - Usual site for epistaxis in children. Four Arteries anastomose here and form Kiesselbach's Plexus. Anterior ethmoidal artery(Ophthalmic artery) Sphenopalatine(Maxillary artery) Septal branch of superior labial(Facial artery) Greater palatine artery(Maxillary artery) Ref: Dhingra 7e pg 197.